Dentinogenesis by odontoblasts first begins at
1. Pulpal end
2. Cusp tip
3. Tooth bud stage
4. Cervical area

Correct answer: 2. Cusp tip